Reward centre in the brain is?
1. Amygdala
2. Thalamus
3. Hippocampus
4. Ventral tegmental area

Correct answer: 4. Ventral tegmental area

Explanation: 1. Reward center contains ventral tegmental area connected with nucleus accumbens (through dopamine NT) 2. Previously major reward centers are thought to be located along course of "medial forebrain bundle" Amygdala - Part of limbic system - It has many connections (i.e. with neocortex of temporal, parietal & occipital lobes Hence amygdala is called as "window" through which limbic system sees place of person in the world. Thalamus - It is relay station for all sensations except olfaction - It forms extensive nerve connections b/w cerebral cortex & midbrain Hippocampus - Required for consolidation of long-term memories. - Hippocampus + adjacent temporal & parietal lobe structures => HIPPOCAMPAL FORMATION